The tumour, which may occur in the residual breast or overlying skin following wide local excision and radiotherapy for mammary carcinoma is
1. Leiomyosarcoma
2. Squamous cell carcinoma
3. Basal cell carcinoma
4. Angiosarcoma

Correct answer: 4. Angiosarcoma

Explanation: Angiosarcoma is a vascular tumor which may arise de novo in the breast or as a complication of the radiation therapy.
Sabiston writes - "This vascular tumor may occur de novo in the breast, but the clinically important presentation is in the Dennis after breast radiation or in the lymphedematous upper extremity, following radical mastectomy."